Cell which does not migrate from the base of the crypt to ends of villi is:
1. Enterocyte
2. Endocrine cell
3. Paneth cell
4. Goblet cell

Correct answer: 3. Paneth cell

Explanation: C i.e. Paneth cells - Foamy appearance or frothy cytoplasm is a feature associated with presence of lipid / mucinous material in the cell cytoplasm. It is seen in mucous secreting goblet cells or lipid phagocytizing macrophage eg Touton giant cell (but not in paneth cells).- Paneth (zymogen) cells are rich in zinc, rough endoplasmic reticulum (RER) and secretory granules containing lysozyme, defensins or cryptidins such as TNF-aQ. It exceptionally migrate towards the base of crypt of Lieberkuhn instead of going towards the tip of villi.